In compression of the inferior mesenteric vein just before it joins the splenic vein, which of the following vein is most likely enlarged
1. Middle colic vein
2. Left gastroepiploic vein
3. Inferior pancreaticoduodenal vein
4. Left colic vein

Correct answer: 4. Left colic vein

Explanation: In compression of the inferior mesenteric vein its tributaries like left colic vein gets enlarged - Venous drainage of Hind-Gut territory. Middle colic vein (option 1) is a tributary of superior mesenteric vein - Venous drainage of Mid-Gut territory. Left gastroepiploic (gastro-omental) vein (option 2) drains into splenic vein. Inferior pancreaticoduodenal vein (option 3) drains into supperior mesenteric vein- Venous drainage of Hind-Gut territory. *Portal vein is formed posterior to the neck of pancreas by the union of the splenic vein and superior mesenteric vein. The inferior mesenteric vein usually ends by joining the splenic vein.The blood within the portal vein carries high levels of nutrients from the GI tract and products of red blood cell destruction from the spleen.